All of the following are true about Ca bladder, except
1. Painless hematuria is seen
2. Transitional cell Ca is commonest
3. More in males
4. None of the above

Correct answer: 4. None of the above

Explanation: The urinary bladder is the most common site of urinary tract tumors. Most bladder tumors occur in older patients (median age 65 years). Three times common in males than females. Most tumors are microscopically classified as urothelial (transitional cell) neoplasms. Most are malignant. Sudden painless hematuria is the presentation. Certain dyes, smoking, Schistosomiasis, drugs like cyclophosphamide and analgesics, and radiation therapy can predispose to this condition.